Vidian nerve passes through
1. Inferior orbital fissure
2. Incisive foramen
3. Tympanomastoid fissure
4. Pterygoid canal

Correct answer: 4. Pterygoid canal

Explanation: In the anterior part of the foramen lacerum,the greater petrosal nerve unites with the deep petrosal nerve to form the nerve of the pterygoid canal(the vidian nerve)which leaves the foramen by entering the pterygoid canal in the anterior wall of the foramen lacerum. REF.BDC VOL.3,FIFTH EDITION